A patient has preserved light touch and absent pain and temperature over the left upeer limb. This pattern of sensory loss is called-
1. Stock and glove type
2. Segmetal type
3. Dissociated type
4. Mononeuritis type

Correct answer: 3. Dissociated type

Explanation: Vishram singh textbook of clinical neuroanatomy 2nd edition. * In dissociated sensory loss,the lesion involves decussating lateral spinothalamic fibers in the anterior commissure so that there is bilateral loss of pain and temperature sensations but other sensations are preserved in uncrossed tracts of posterior column.